Bitemporal hemianopic field defect is charactersitic of:
1. Glaucoma
2. Optic neuritis
3. Pituitary tumour
4. Retinal detachment

Correct answer: 3. Pituitary tumour

Explanation: C i.e. Pituitary tumour